A child makes tower of 4 cubes at ?
1. 1 year
2. 11/2 years
3. 3 years
4. 4years

Correct answer: 2. 11/2 years

Explanation: Ans. is 'b' i.e., 11/2 years Age Number of cubes of tower 12 months 2 15 months 3 18 months 4 21 months 6 24 months 7 30 months 9 36 months 10